All of the following antibiotics can be used to treat cystitis in pregnancy except ________
1. Amoxycillin
2. 1st generation Cephalosporins
3. Ciprofloxacin
4. 3rd generation Cephalosporins

Correct answer: 3. Ciprofloxacin

Explanation: Ciprofloxacin, a Fluroquinolone antibiotic, is contraindicated in pregnancy as it causes cartilage and bone defects in the fetus. Antibiotics safe in pregnancy include Penicillin group, Cephalosporins, Erythromycin, Metronidazole (except in 1st trimester) Antibiotics unsafe in pregnancy: Metronidazole (in first trimester), Chloramphenicol, Aminoglycoside, Tetracycline and Fluroquinolones. Ref: ncb.nlm.nih.gov